Which enzyme synthesize Okazaki fragments:
1. DNA Polymerase III
2. DNA polymerase I
3. DNA primase
4. DNA Ligase

Correct answer: 1. DNA Polymerase III

Explanation: DNA Polymerase III synthesizes both leading and lagging strands (Okazaki fragments). (Option 1) Enzyme Function DNA polymerase I Removes RNA primers Replace it with DNA DNA Polymerase III Synthesizes both leading and lagging strands (Okazaki fragments). DNA primase Synthesize RNA primers DNA ligase Joins the fragments